Serum is blood plasma without:
1. Blood cells
2. Fibrinogen
3. Lymphocytes
4. Plasma colloids

Correct answer: 2. Fibrinogen